All of the following immunodeficiency diseases are due to Chromosomal instability or defective repair of genes except
1. Ataxia telangiectasia
2. Bloom syndrome
3. Seckel syndrome
4. Chediak - Hegashi syndrome

Correct answer: 4. Chediak - Hegashi syndrome